About adenomyosis, all are true except:-
1. Associated with dysmenorrhea and menorrhagia
2. Total hysterectomy is the treatment of choice
3. Asymmetrically enlarged and tender uterus
4. Seen in multiparous women

Correct answer: 3. Asymmetrically enlarged and tender uterus

Explanation: Uterus is Symmetrically enlarged in adenomyosis to not more than 14 weeks size. Adenomyosis Seen in multiparous women >40yrs Associated with Progressive Dysmenorrhea Menorrhagia Treatment Best Rx : Hysterectomy Menorrhagia: NSAIDS , Hormones Young women: Hormones, COCP for longer duration, IUCD with progesterone(mirena), Localised excision Sx Mx of Menorrhagia: D&C